Type of enzyme inhibition in which Vmax remains the same but Km is increased -
1. Non-competitive
2. Competitive
3. Allosteric
4. None

Correct answer: 2. Competitive

Explanation: Ans. is 'b' i.e., Competitive Type of inhibitorKmVmaxReversible inhibbitor o Competitiveo Non-competitiveo UncompititiveIncreasedNo effectDecreasedNo effectDecreasedDecreasedIrrversible inhibitor (same as reversible competitive)No effectDecreased